For prevention of pre term labour in a patient with a history of a preterm delivery the following is used :
1. Calcium supplements
2. Ecosprin
3. Progesterone
4. Steroids

Correct answer: 3. Progesterone

Explanation: Progesterone can be used for prevention of preterm birth in patients with past history of preterm delivery. It can be given from 16 weeks till 36 weeks to prevent preterm labour. However it is not effective once the contractions have started.